Most important prognostic indicator for renal cell carcinoma
1. Nuclear grade
2. Histological type
3. Size
4. Pathological staging

Correct answer: 4. Pathological staging

Explanation: Important prognostic factors for cancer-specific survival in patients with nonmetastatic RCC include specific clinical signs or symptoms, tumor-related factors, and various laboratory findings . Overall, tumor-related factors such as pathologic stage,tumor size, nuclear grade, and histologic subtype have the greatest utility on an independent basis. However, an integrative approach, combining a variety of factors that have proved to have independent value on multivariate analysis, appears to be most powerful Pathologic stage has proved to be the single most important prognostic factor for RCC ref : Campbell-Walsh 11th ed , chapter 57 , pg no :- 1339